Which of the following predisposes to placenta previa?
1. Primigravida
2. Singleton pregnancy
3. Diabetesmellitus
4. Past cesarean pregnancy

Correct answer: 4. Past cesarean pregnancy